The antibodies that are seen in Grave's disease are-
1. ANA
2. TSH receptor antibodies (TRAb)
3. Thyroid peroxidase antibodies
4. Anti-T3 antibodies

Correct answer: 2. TSH receptor antibodies (TRAb)

Explanation: Graves' disease is characterised by the production of IgG antibodies directed against the TSH receptors on the thyroid follicular cells which stimulate thyroid hormone production and proliferation of follicular cells. These antibodies are known as thyroid-stimulating immunoglobulins(TSI) or TSH receptor antibodies(TRAb). These can be detected in the serum of 80-95% of patients with Graves' disease. Reference : page 747-48Davidson's Principles and practice of Medicine 22nd edition